In a 40-year old person, physiological HRmax will be:
1. 160 bpm
2. 180 bpm
3. 200 bpm
4. 220 bpm

Correct answer: 2. 180 bpm

Explanation: Physiological heart rate maximum is the heart rate up to which, increasing heart rates can cause an increase or maintain the cardiac output. Beyond this heart rate, cardiac output will decrease. By Karvonen formula: HRmax = (220 - age in years). Thus, in 40- year old person, the heart rate maximum will be 180 beats per minute. Beyond this heart, cardiac cycle duration will be very short and hence, diastole duration and ventricular filling will be very less. Consequently, stroke volume will decrease drastically (Frank-Starling law: Less the filling, low is the stroke volume). Hence, cardiac output will decrease, beyond this heart rate.